Most failures in maintaining adequate plaque removal results from failure in patient
1. Recalls
2. Training
3. Education
4. Motivation

Correct answer: 4. Motivation